All are clinical features of pheochromocytoma, except-
1. Increased hematocrit
2. Orthostatic hypotension
3. Low Cortisol level
4. Impaired glucose tolerance

Correct answer: 3. Low Cortisol level

Explanation: cortisol level is increased ( Harrison 17 pg 2271)